Hunan hand occurs due to -
1. Abrus prictorius
2. Redchilli
3. c) Dhatura
4. Strychnine

Correct answer: 2. Redchilli

Explanation: Ans. is 'b' i.e., Red chilli o Hunan hand is severe burning lesions of fingers in persons handling dried red chilly powder for prolonged period. "Hunan hand is contact dermatitis caused due to chili (capsicum) "